Which of the following is not the component of Too-Late triad associated with renal cell carcinoma?
1. Mass
2. Pain
3. Hematuria
4. Pyrexia

Correct answer: 4. Pyrexia

Explanation: Renal cell carcinoma* "TOO- LATE" TRAID- Mass+ Pain+ Hematuria * Triad is seen in 10% patients with advanced disease * Most common presentation - Hematuria* In Advanced cases, Non-Reducing Varicocele - due to tumor thrombus in the left kidney* IOC - CECT* Treatment of choice- Radical nephrectomy